Radiological sign of coarctation of aorta
1. Dock's sign
2. E - sign
3. Inverted 3 sign
4. All of the above

Correct answer: 4. All of the above

Explanation: Others : 

Revesed E sign.
Figure of 3 sign.